Intraoperative Radiotherapy for treating pancreatic carcinoma mainly uses
1. Alpha Rays
2. Gamma Rays
3. Electron Beam
4. Proton beam

Correct answer: 3. Electron Beam

Explanation: Electron Beam is preferred for intraoperative Radiotherapy. The Intraoperative radiotherapy (IO) appears to be an ideal therapeutic strategy for pancreatic cancer, Having the advantage of enabling the delivery of high doses of radiation to areas that are at risk for microscopic disease, saving critical organs and reducing the possibility of inducing radiotoxicity.